Beck's triad of cardic tamponade includesa) Hypotensionb) Neck vein distensionc) Silent heartd) Tachycardia
1. acd
2. abd
3. abc
4. ab

Correct answer: 3. abc